Which one of the following agents sensitizes the myocardium to catecholamines -
1. Isoflurane
2. Ether
3. Halothane
4. Propofol

Correct answer: 3. Halothane

Explanation: Halothane tends to sensitize the heart to arrhythmogenic action of adrenaline - contraindicated in pheochromocytoma. Ref: Manuel C Pardo Jr and Ronaldo D Miller 7th Ed.